Coenzymes are.........organic compounds
1. Lipoprotein
2. Proteinaceous
3. Non-protein
4. Any of the above

Correct answer: 3. Non-protein

Explanation: The two subcategories under coenzyme are cosubstrates and prosthetic groups. Cosubstrates are transiently bound to the protein and will be released at some point, then get back in. ... An inactive enzyme without the cofactor is called an apoenzyme, while the complete enzyme with cofactor is called a holoenzyme cofactor is a non-protein chemical compound or metallic ion that is required for a protein's biological activity to happen. These proteins are commonly enzymes, and cofactors can be considered "helper molecules" that assist in biochemical transformations. Cofactors can be subdivided into either one or more inorganic ions, or a complex organic or metalloorganic molecule called a coenzyme; most of which are derived from vitamins and from required organic nutrients in small amounts. A coenzyme that is tightly or even covalently bound is termed a prosthetic group. The two subcategories under coenzyme are cosubstrates and prosthetic groups. Cosubstrates are transiently bound to the protein and will be released at some point, then get back in. The prosthetic groups, on the other hand, are bound permanently to the protein. Both of them have the same function, which is to facilitate the reaction of enzymes and protein. Additionally, some sources also limit the use of the term "cofactor" to inorganic substances. An inactive enzyme without the cofactor is called an apoenzyme, while the complete enzyme with cofactor is called a holoenzyme.